An abnormal attitude is illustrated by?
1. Breech presentation
2. Face presentation
3. Transverse position
4. Occiput posterior

Correct answer: 2. Face presentation

Explanation: Ans. is b, i.e. Face presentationFace presentation means head of the fetus is extended. Normal attitude of fetus is that of flexion, hence in face there is abnormal attitude.